Posterior urethral valve are commonly observed in -
1. Boys
2. Girls
3. Adult males
4. Adult females

Correct answer: 1. Boys